Reactionary hemorrhage -
1. Bleeding within 24 hrs
2. Bleeding after 24 hrs
3. After one week
4. During surgery

Correct answer: 1. Bleeding within 24 hrs

Explanation: Ans. is 'a' i.e., Bleeding within 24 hrs